Octerotide is used in all except
1. Glucagonoma
2. Insulinoma
3. Carcinoid syndrome
4. Glioma

Correct answer: 4. Glioma

Explanation: Ans. (D) Glioma(Ref: Katzung 11/e p650, 1081 1082)Octreotide is a long acting somatostatin analog. It can be used:To decrease secretory diarrhea and other symptoms of carcinoid syndrome and VIPoma.Octreotide is a long acting somatostatin analog. It can be used:To decrease secretory diarrhea and other symptoms of carcinoid syndrome and VIPoma.For the treatment of diarrhea due to vagotomy, short bowel syndrome and AIDS.For treatment and prophylaxis of acute pancreatitis.For the management of acromegalyFor the treatment of islet cell tumorsFor controlling acute bleeding due to esophageal varices